Fast fatigue fibres are recruited during walking:
1. In the beginning
2. In the end
3. Throughout the walking process
4. When small neurons are excited

Correct answer: 2. In the end

Explanation: Ans. b. In the end